A young patient present with significant loss of central vision and a normal ERG. There is no obvious family history of similar presentation. The most likely diagnosis:
1. Best's disease
2. Stargardt's disease
3. Retinitis pigmentosa
4. Cone-rod dystrophy

Correct answer: 2. Stargardt's disease

Explanation: Ans. Stargardt's disease